A patient presents with serum bilirubin values of >40mg% and obstructive jaundice. This indicates?
1. Carcinoma of gallbladder
2. Concomitant renal failure
3. Acute cholecystitis
4. Complete obstruction of bile duct

Correct answer: 2. Concomitant renal failure

Explanation: In patients of obstructive jaundice the value of serum bilirubin plateaus around 25-30 mg% since the water soluble bilirubin is excreted the urine. However in concomitant renal failure, loss of conjugated bilirubin the kidney fails and leads to extremely high values. Another reason can be a simultaneous overproduction of unconjugated bilirubin due to haemolysis, sepsis and sickle cell anaemia.